Sickness benefit under ESI Act is payable for how many days in a year:
1. 71 days
2. 81 days
3. 91 days
4. 101 days

Correct answer: 3. 91 days

Explanation: Ans. C: 91 days